Female health worker in Plains cover a population of:
1. 1000
2. 5000
3. 30000
4. 120000

Correct answer: 2. 5000

Explanation: Female health worker is located at sub-center level covers 5, 000 population in plains; 3000 population in hilly areas. Also remember, LOCATION POPULATION NORM EDUCATION TRAINING ASHA Village 2/1000 10th class 23 days VHG Village 1/1000 6th 3 months TBA Village 1/1000 - 1 month AWW AWC 1/400 to 800 10th 4 months